Which of following are the risk factors for inguinal hernia?
1. COPD
2. BPH
3. Cigarette smoking
4. All of the above

Correct answer: 4. All of the above

Explanation: Risk factors for hernia Weakness of abdominal muscles Increased intra-abdominal pressure Patent processus vaginalis Patent canal of nuck causing indirect inguinal hernia in females Connective tissue disorders like Ehlers Danlos Syndrome. Congenital conditions like Exstrophy of bladder, Prune Belly syndrome Advancing age Chronic debilitating disease Defective collagen synthesis Previous right lower quadrant incision Cigarette smoking Chronic cough (Bronchitis, tuberculosis) Chronic obstructive pulmonary disease Obesity Chronic constipation with straining at stool Enlarged prostate with straining at micturition Pregnancy Cirrhosis with ascites Heavy weight lifting Chronic ambulatory peritoneal dialysis Intra-abdominal tumors Chronically enlarged pelvic organs